The biochemical marker for primary hyperparathyroidism is
1. Hypercalcemia
2. Hypophosphatemia
3. Increased alkaline phosphatase levels
4. Increased ACTH

Correct answer: 1. Hypercalcemia